Term gestation patient with critical aortic stenosis presents to the labor, and her cervix  is 6cm dilated. Your approach in treatment of patient includes all except
1. Provide opiod epidural analgesia.
2. Limit activity.
3. Do pulmonary artery catheterization.
4. Restrict i.v fluids to decrease cardiac preload.

Correct answer: 4. Restrict i.v fluids to decrease cardiac preload.

Explanation: Pregnant woman with critical aortic stenosis needs intensive monitoring during labor. So pulmonary artery catheterization is helpful.
Maintaining intravascular volume and cardiac output is important to decrease chances of hypotension and hemorrhage.